Pavlic harness is used to treat -
1. Deveopmental dysplasia of hip
2. Perthe's disease
3. Slipped Capital femoral epiphysis
4. Congenital coxa vara

Correct answer: 1. Deveopmental dysplasia of hip

Explanation: Ans. is 'a' i.e., Deveopmental dysplasia of hip o Used in CDH -# Bachelor's or frog leg / lorenz cast# Von-Rosen's splint# Pavlic HarnessTreatment Plan for DDHo Treatment plan is according to the age:-1) 1-6 months of age:- Pavilk harness and/or Von-rosen splint are used to maintain the reduction. If dislocation persists, closed reduction or traction followed by casting is done.2) 6-18 months of age:- Closed reduction or traction followed by casting. If closed reduction fails, open reduction followed by casting is recommended.3) 18 months - 3years:- Open reduction with femoral shortening (if femoral site is involved) or salter asteotomy (if acetabulum is involved).4) 3 - 8years:- Open reduction with femoral shortening with or without acetabular reconstructive osteotomy.